Which of the following components of the immune system is responsible for the secretion of lymphokines?
1. B lymphocytes
2. Eosinophils
3. Macrophages
4. T lymphocytes

Correct answer: 4. T lymphocytes

Explanation: T lymphocytes Antigen interaction with T lymphocytes precipitates the release of lymphokines, substances that modulate other aspects of the immune response. Examples of lymphokines include the interleukins, granulocyte-monocyte colony-stimulating factor (GM-CSF), and y-interferon. B lymphocytes secrete immunoglobulins, the humoral component of adaptive immunity. Eosinophils, neutrophils, and macrophages are phagocytic cells comprising the cellular component of the natural immune response.